Radius of curvature of the anterior surface of an adult crystalline lens with accommodation at rest is:
1. 7 mm
2. 10 mm
3. 8 mm
4. 9 mm

Correct answer: 2. 10 mm

Explanation: Ans. 10 mm